What is stereops is -
1. Perception of different colours
2. Perception of depth of vision
3. Perception of Peripheral visual fields
4. Perception of size of an object

Correct answer: 2. Perception of depth of vision

Explanation: Answer- B. Perception of depth of visionStereopsis is a term that is most often used to refer to the perception ofdepth and 3-dimensional structure obtained on the basis of visual information deriving from two eyes by individuals with normally developed binocular vision.